Which of the following chemical mediators of inflammation is an example of a C-X-C or alpha chemokine-
1. Lipoxin LXA 4
2. Interleukin IL-8
3. Interleukin IL-6
4. Monocyte Chemoattractant Protein MCP-1

Correct answer: 2. Interleukin IL-8

Explanation: Ans. is 'b' i.e., Interleukin IL-8